All are parts of corpus callosum except
1. Forceps minor
2. Forceps major
3. Tapetum
4. Indusium griseum

Correct answer: 4. Indusium griseum

Explanation: Thin layer of grey matter in contact with the dorsal surface of corpus callosum Ref: Gray's 39e/p-227